Which poisoning causes 'Swift Feer disease'?
1. Arsenic
2. Mercury
3. Copper
4. Lead

Correct answer: 2. Mercury

Explanation: Acrodynia (Pink Disease)/ Swift Feer disease: Due to chronic mercury poisoning Toxicity: Idiosyncratic hypersensitivity reaction Due to mercurous chloride(calomel) Age group: Children Features: Pink discolouration in the hands and feet Pink, Puffy, Painful & Paraesthetic Peripheries